Drugs used for day care surgery are all except-
1. Propofol
2. Sevoflurane
3. Doxacurium
4. Desflurane

Correct answer: 3. Doxacurium

Explanation: Ans. is 'c' i.e., Doxacurium Drugs useful for day care surgeryo Propofolo Sevoflurane, desflurane & isofluraneo Alfantanilo Midazolamo Mivacurium